Yellow Fever vaccination starts protection after how many days of injection -
1. 5 days
2. 10 days
3. 15 days
4. 20 days

Correct answer: 2. 10 days

Explanation: yellow fever vaccine:- 17 D vaccine Live attenuated prepared from a non virulent strain (17D strain). Administered subcutaneously at the insertion of deltoid . Single dose 0.5 ml irrespective of age. Revaccination after 10 years. Storage: +5 to -30 deg celcius. Yellow fever vaccine production centre in India- central research institute, kasauli. Protection offered after 10 days of injection. {Reference: park's textbook of preventive and social medicine, 23rd edition, pg no.283}